Neuroblastoma originates from
1. Adrenals
2. Mediastinum
3. Chest wall
4. Peripheral nerves

Correct answer: 1. Adrenals

Explanation: Neuroblastoma is a malignant tumor of the autonomic nervous system derived from the neural crest.The most common sites of primary tumours are the adrenals(30%),paravertebral retroperitoneum(28%),posterior mediastinum(15%),pelvis(5%) &cervical area. Reference:Essential pediatrics-Ghai,8th edition,page no:616.